A young female with asymptomatic macules and papule over trunk and reddish patch over palate with a flat, moist lesion on vulva. Patient has generalized lymphadenopathy. What is line of management'?
1. Ceftriaxone
2. Benzathine penicillin
3. Acyclovir
4. Fluconazole

Correct answer: 2. Benzathine penicillin

Explanation: C/o Syphilis. Penicillin is the DOC. Bullous, papular, papulosquamous lesions and mucous patches occur on the vulva in early syphilis and condyloma lata may develop later. Diagnosis of syphilis is made by dark ground microscopy, immunofluorescence of scrapings or serology. Doxycycline is the best alternative for treating early and late latent syphilis in non pregnant cases.